Most common type of meniscal injury is
1. Anterior horn tear of Lateral meniscus
2. Anterior horn tear of Medial meniscus
3. Bucket handle type tear of Lateral meniscus
4. Bucket handle type tear of Medial meniscus

Correct answer: 4. Bucket handle type tear of Medial meniscus

Explanation: Medial Vs Lateral MenisciMedial menisciLateral menisciSemilunar shaped Semicircular shaped Larger in radius/diameter but narrower in the body and thinner in periphery Smaller in radius/diameter but wider in the body and thicker in the peripheryPosterior horn is larger than the anterior horn Anterior & Posterior horn are uniform in size Covers lesser (~65%) of tibial articular surface Covers larger (~85%) of tibial articular surface Entire periphery is attached to the joint capsule Peripheral area where popliteal tendon crosses the joint through popliteal hiatus is not attached Attached to medial collateral ligament Not attached to the lateral collateral ligament Does not attach to either cruciate ligaments Attached to both cruciate ligaments Less mobile because of its attachment More mobile because of its attachment More prone to injury Less prone to injury (Refer: Campbell's Operative Orthopedics, 12thedition, pg no: 2416-2423 )